Which of the following is a Lyase?
1. Aldolase
2. Acetyl Co A Synthetase
3. Fatty Acyl CoA Dehydrogenase
4. Acetyl CoA Carboxylase

Correct answer: 1. Aldolase

Explanation: Lyases: Enzymes specialised in the addition or removal of water, ammonia, CO2 etc.
Some examples of Lyases are:

HMG CoA Lyase
Argininosuccinate Lyase
ATP Citrate Lyase
Aldolase
Fumarase.

Reference- Satyanarayana Pg-87